Causes for less bioavailability -
1. High first pass metabolism
2. Increased absorption
3. IV drug administration
4. High solubility

Correct answer: 1. High first pass metabolism

Explanation: Ans. is 'a' i.e., High first pass metabolism o Causes for less bioavailability. Incomplete absorption o High first pass metabolism. About other options Increased absorption increases bioavailability. o I.V. administration has 100% bioavailahi I ity. High lipid solubility causes more absorption and better bioavailability.